Which of the following is not a mediator of inflammation
1. Interferon
2. Prostaglandins
3. TNF
4. Myeloperoxidase

Correct answer: 4. Myeloperoxidase